Emergency contraception include the following except :
1. Oral contraceptive
2. Copper -- T
3. Levonorgestrel tablets
4. DMPA

Correct answer: 4. DMPA

Explanation: DMPA